Posterior communicating artery arises from
1. Internal carotid
2. Middle cerebral
3. Basilar
4. Posterior cerebral

Correct answer: 1. Internal carotid

Explanation: Internal carotid Internal carotid artery has five main branches to the brain: anterior cerebral, middle cerebral, ophthalmic, anterior choroidal and posterior communicating artery.